All of following are examples of proximal muscle weakness EXCEPT?
1. Myasthenia gravis
2. Thyroid myopathy
3. Myotonic dystrophy
4. Duchenne's muscular dystrophy

Correct answer: 3. Myotonic dystrophy

Explanation: Myasthenia gravis Features Eye muscle weakness, Ptosis, Diplopia In contrast, all myopathies have a proximal weakness (an exception being Myotonic dystrophy, which has a distal weakness).